Sanguinarine causes
1. Neurolathyrism
2. Epidemic dropsy
3. Endemic ascites
4. Aflatoxins

Correct answer: 2. Epidemic dropsy

Explanation: B. i.e. (Epidemic dropsy) (525 - Park 19th) (571 - Park 20th) NeurolathyrismL. sativus (Khasaridal)**Beta - oxalyl - amino - alanine (BOAA*) Endemic ascitis* Jhunjhunia seeds**Toxic alkaloid is - Pyrrolizidine**Symptoms of Epidemic dropsy are - Sudden- non inflammatory bilateral swelling of legs, Diarrhoea* cardiac failure* glaucoma* and last death